Which of the following is false about fibroid :
1. Usually malignant
2. Rare before 20 years
3. Usually asymptomatic
4. More common in nulliparous

Correct answer: 1. Usually malignant

Explanation: Usually malignant